What is malignant hydatid disease -
1. Malignant changes into hydatid cyst
2. Infection with E. multilocularis
3. Hydatid disease in immunocompromised host
4. Caused by Echino.granulosus

Correct answer: 2. Infection with E. multilocularis

Explanation: Echinococcus multilocularis Hydatid disease: Liver is the common organ affected (98% of cases). The disease may resemble a slowly growing carcinomaand may cause symptoms of intrahepatic portal hypertension. Hepatomegaly and hypertension. Cyst appears as solid, film mass with irregular outer layer and has an ability to migrate rapidly to other organs so that it mimics a malignant tumor Man is an accidental intermediate host. Definitive agent- Foxes and wolves (and also dogs and cats). Intermediate hosts- Small wild rodents like squirrels, voles, mice, etc. . This disease is found in Russia, Kazakhstan, china etc.